Pulmonary mycetomas on radiographs most commonly show as
1. Air fluid level
2. Lucent crescent
3. Eccentric nodule
4. Rim calcification

Correct answer: 2. Lucent crescent

Explanation: The fungal ball produces a tumor-like opacity on X ray,but can be distinguished from a carcinoma by the presence of a crescent of air between the fungal ball and the upper wall of the cavity(Air crescent sign).HRCT is more sensitive. Reference:Davidson's Medicine-22nd edition,page no:698.